Most severe pain in ureteric stone is seen in cases of?
1. Oxalate stones
2. Triple phosphate
3. Cystine stone
4. Uric acid stone

Correct answer: 1. Oxalate stones

Explanation: Ans. is 'a' i.e., Oxalate stones